Neurological complications following Rabies vaccine is common with -
1. HDCS Vaccine
2. Chick embryo Vaccine
3. Semple Vaccine
4. Duck Egg Vaccine

Correct answer: 3. Semple Vaccine

Explanation: Neural vaccines are suspensions of nervous tissue of animal infected with fixed rabies virus.eg of such vaccine are sample vaccine,betapropiolactone vaccine, suckling mouse brain vaccine REF:ANANTHANARYANAN TTEXTBOOKOF MICROBIOLOGY 9EDITION PGNO.535